Intermediate hosts for toxoplasma are all except?
1. Human
2. Sheep
3. Cat
4. Pig

Correct answer: 3. Cat

Explanation: Ans. is 'c' i.e., Cat